Face-to-pubis delivery often occurs in :
1. Android pelvis
2. Platypelloid pelvis
3. Anthropoid pelvis
4. Gynaecoid pelvis

Correct answer: 3. Anthropoid pelvis

Explanation: Anthropoid pelvis